A 40 year old male with diabetes presents with vitreous hemorrhage. What is the cause ?
1. Posterior retinal detachment
2. Neovascularization at disc
3. Central retinal vein occlusion
4. Trauma to central retinal artery

Correct answer: 2. Neovascularization at disc

Explanation: This patient is likely to have proliferative diabetic retinopathy in which neovascularization is the hallmark.
Neovessels along with fibrous tissue may lie flat on the retina or attach itself to the posterior vitreous face leading later to vitreous face leading later to vitreous traction, retinal separation and the tearing of blood vessels.
This is the commonest cause of spontaneous vitreous haemorrhage in adults.